All of the following are true regarding Juvenile Papilloma except -
1. Commonly occur in children
2. Laser surgery is the treatment of choice
3. Stridor is common
4. Remissions are uncommon

Correct answer: 4. Remissions are uncommon